A patient with Miller Dieker syndrome on neuroimaging showed a smooth cortex with no involutions. This condition of the brain where the convolutions are absent is called?
1. Holoprosencephaly
2. Lissencephaly
3. Rachischisis
4. Arhinencephaly

Correct answer: 2. Lissencephaly

Explanation: Smooth cerebral cortex with no convolutions is called Lissencephaly. It may be associated with microcephaly, developmental delay, seizure, optic nerve hypoplasia and microphthalmia. Holoprosencephaly means a single sphered brain. Rachischisis is congenital fissure of vertebral column. Ref: Oxford Handbook of Clinical Specialities, Edition 8, Page - 139